A child scratches his hand with a pen. A red wheal appears which persists for 30 minutes. What would be the diagnosis?
1. Atopy
2. Contact urticarial
3. Pressure urticarial
4. Dermographism

Correct answer: 4. Dermographism

Explanation: (Refer: Fitzpatrick's Dermatology in General Medicine, 8th edition, pg no: 414-420)
Variant forms of physical urticaria